Analysis done for expenditure of large proportion for small number and vice versa ?
1. ABC analysis
2. SUS analysis
3. HML analysis
4. VED analysis

Correct answer: 1. ABC analysis

Explanation: Ans. is 'a' i.e., ABC analysis